The intervillous space of the placenta contains
1. Maternal blood
2. Fetal blood
3. Maternal and fetal blood
4. Amniotic fluid

Correct answer: 1. Maternal blood

Explanation: The intervillous space contains only maternal blood as the spiral arteries of the endometrium penetrate the outer cytotrophoblast shell.